Ghons complex refers to:
1. Healed parenchymal lesions
2. Necrotic lymph nodes
3. Parenchymal lesion along with inflamed lymph nodes
4. Complication in enlarged hilar lymph nodes

Correct answer: 3. Parenchymal lesion along with inflamed lymph nodes

Explanation: Ans. (c) Parenchymal lesion along with inflamed lymph nodes(Ref: Robbins 9th/pg 375-376; 8th/pg 370-371)Ghon's focus Q: Grey white area of inflammation with consolidationGhon's complex: Q Ghon's focus + inflamed regional lymph nodes